Which is the most significant finding in cardiotocography for detection of fetal hypoxia?
1. Late deceleration
2. Variable deceleration
3. Sinusoidal deceleration
4. Early deceleration

Correct answer: 1. Late deceleration

Explanation: Late decelerations are smooth falls in the FHR beginning after the contractions has started and ending after the contractions has ended. They are associated with fetal hypoxemia and potential for perinatal morbidity and mortality. Ref:Williams Obs 23e pg 420.